Which of the following is not a side effect of Quetiapine?
1. Diarrhoea
2. Weight gain
3. Somnolence
4. Blurring of vision

Correct answer: 1. Diarrhoea

Explanation: The most common side effect of Quetiapine is somnolence. Other common side effects include sluggishness, fatigue, dry mouth, sore throat, dizziness, abdominal pain, constipation, upset stomach, orthostatic hypotension, inflammation or swelling of the sinuses or pharynx, blurred vision, increased appetite, and weight gain. Clozapine, olanzapine, and quetiapine cause hyperglycemia, weight gain, and hypertriglyceridemia than other atypical antipsychotic drugs. Close monitoring of plasma glucose and lipid levels are indicated with the use of these agents. Ref: Harrison's Principles of Internal Medicine; 24th edition; Page no: 2722